'D' cells of stomach secrete
1. Hcl
2. Pepsinogen
3. Somatostatin
4. Histamine

Correct answer: 3. Somatostatin

Explanation: Somatostatin, the growth-hormone-inhibiting hormone originally isolated from the hypothalamus, is secreted as a paracrine by D cells in the pancreatic islets and by similar D cells in the gastrointestinal mucosa. It exists in tissues in two forms, somatostatin 14 and somatostatin 28, and both are secreted. Somatostatin inhibits the secretion of gastrin, VIP, GIP, secretin, and motilin. Its secretion is stimulated by acid in the lumen, and it probably acts in a paracrine fashion to mediate the inhibition of gastrin secretion produced by acidRef: Ganong's review of medical physiology 23rd edition Page no: 447